Fk-506 is a -
1. It is a macrolide antibiotic
2. Immunoglobulin antibody
3. Non depolarising muscle relaxant
4. Opioid analgesic

Correct answer: 1. It is a macrolide antibiotic

Explanation: Ans. is 'a' i.e., It is a macrolide antibiotic o Fk-506 is commonly known as Tacrolimus. o Tacrolimus is a macrolide antibiotic produced by streptomyces tsukubaensis.